Duchenne muscular dystrophy is inheritance of:
1. Autosomal dominant
2. Autosomal recessive
3. X-linked recessive
4. X-linked dominant

Correct answer: 3. X-linked recessive

Explanation: (X-linked-recessive) (1060-CMDT-2007) (399-400-H17th)INHERITANCE-MYOPATHIC DISORDERS* X-linked recessive - Duchenne, Becker's Emery Dreifuss muscular dystrophies* Autosomal recessive - Limb - girdle (Erb's)* Autosomal dominant - Facioscapulohumeral, distal, ocular, oculopharyngeal, Myotonic dystrophy.